All are true about Somites except:-
1. 4th week is called somite period
2. Dorsi-lateral part forms the sclerotome
3. 44 pairs are present by the end of 1st month.
4. Post otic part of each paraxial mesoderm is subdivided into a number of cubical blocks known as somites.

Correct answer: 2. Dorsi-lateral part forms the sclerotome

Explanation: The post otic part of paraxial mesoderm form bilateral solid cord of cells extending along the side of notochord beneath the neural tube. It undergoes segmentation to form series of paired somites. The somites are differentiated into ventro medial (sclerotome)and dorso lateral part (dermomyotome) The somites appear between 20-30 days of development and by the end of first month, 44 pairs of somites are laid down. Thus, the 4th week of development is known as somite period. Out of 44 pairs of post otic somites: 4 are occipital, 8 cervical, 12 thoracic, 5 lumbar, 5 sacral and 8-12 coccygeal.